Not true of the following regarding the optic nerve head?
1. Average dimensions of 1.76mm horizontally by 1.92mm vertically
2. Develops From The Optic Stalk
3. TM outflow is 90-95%, Uveoscleral 10 %
4. Neuro retinal rim is thickest superiorly

Correct answer: 4. Neuro retinal rim is thickest superiorly

Explanation: Optic nerve head has the following features: 1-1.2 Million Neurons. Average dimensions of 1.76mm horizontally by 1.92mm vertically. Develops From The Optic Stalk. TM outflow is 90-95%, Uveoscleral 10 %. Aqueous Outflow 2.7 Microlitre/minute. Neuro Retinal Rim is thickest at Inferior rim. High concentration of pyruvate, lactate & ascorbate & low concentration of protein, urea, & glucose in aqueous humor.